ECT causes
1. Antegrade amnesia
2. Retrograde amnesia
3. Both
4. None

Correct answer: 3. Both

Explanation: C i.e. Both